Nocardia shows all the features except:
1. It is an anaerobe
2. It is an acid fast organism
3. Cultured by Paraffin bait technique
4. Causative agent of Actinomycetoma

Correct answer: 1. It is an anaerobe

Explanation: Nocardia Obligate aerobe. Acid fast organism (1%). Cultured by Paraffin bait technique. Causative agent of Actinomycetoma. Pneumoniae in immunodeficient individuals,Eg : AIDS/Lymphomas/Post Transplantation C/F -- Fever, cough (with thick sputum) Can spread to pericardium and mediastinum Rx - Trimethoprim-sulphmethoxazoleis used as effective therapy Severe cases - Combination - TMP-SMX, Amikacin, ceftriaxone/imipenem.